In splenic injury, conservation management is done in:
1. Hemodynamically unstable
2. Young patient
3. Shattered spleen
4. Extreme pallor and hypotension

Correct answer: 2. Young patient

Explanation: Ans. (b) Young patientsConservative management for Splenic Injury: Splenorrhaphy:* Spleen Sparing technique aimed at controlling the hemorrhage from Splenic artery.* It's appropriate for Grade 1 and Grade 2 injuries (rarely even for Grade 3)* Splenorrhaphy must not be attempted for Extensive and Complex Shatter or Crush type Injuries.* Wrapping of spleen with Non absorbable mesh controls bleeding effectively.* Simple Monofilament Mattress sutures also done for Splenic laceration